An alcoholic person comes to your office, he can't tell his name, there is gross incordination in walking and his eye is deviated to one side. What is your diagnosis?
1. Wernicke's encephalopathy
2. Korsakoff's psychosis
3. Alcoholic hallucination
4. Delirium tremens

Correct answer: 1. Wernicke's encephalopathy

Explanation: Incordination in walking (ataxia), and deviation of the eye to one side (ophthalmoplegia due to 6th nerve palsy) and inability to tell his name (suggests of confusion) in an alcoholic suggest the diagnosis of Wernicke's encephalopathy.